Candidiasis is associated with all except -
1. Neutropenia
2. IUCD user
3. Diabetes
4. Pregnancy

Correct answer: 2. IUCD user

Explanation: 1. Predisposing factors of Candidiasis are: Extremes of age (infancy, old age) Pregnancy Low immunity Patients on broad spectrum antibiotics Diabetes mellitus, febrile neutropenia, Zinc or Iron deficiency. Candida is not associated with IUCD users It can increase chances of PID.